Root completion of Maxillay Lateral incisor tooth occurs at an age of
1. 11-12 year
2. 14-15 year
3. 3-4 year
4. None of the above

Correct answer: 1. 11-12 year